Which worm causes myocarditis ?
1. Trichuris
2. Trichinella
3. Enterobius
4. Strogyloides

Correct answer: 2. Trichinella

Explanation: Ans. is 'b' i.e., Trichinella